Focal and diffuse thickening of gallbladder wall with high amplitude reflections and 'comet tail' artifacts on USG suggest the diagnosis of –
1. Xanthogranulomatous cholecysitis
2. Carcinoma of gall bladder
3. Adenomyomatosis
4. Cholesterolosis

Correct answer: 3. Adenomyomatosis

Explanation: Focal and diffuse thickening of gallbladder wall with comet tail artifact is characteristic of adenomyomatosis of the gallbladder.